Hyperbaric oxygen is used in -a) ARDSb) CO-poisoningc) Anaerobic soft tissue injury   d) During radiotherapy as desensitzere) Aconite poisoning
1. a
2. c
3. bc
4. ad

Correct answer: 3. bc